Righting reflex is a -
1. Cochlear reflex
2. Spinal reflex
3. Vestibular reflex
4. None of the above

Correct answer: 3. Vestibular reflex

Explanation: Ans. Is "c" i.e., Vestibular reflex Vestibular reflexeso The information collected by vestibular apparatus leads mainly to reflex adjustment in posture and eye movements,o Both these functions are also affected by information from other sensory structures.o In intact organism the regulation of posture and of the eye movements are the integrated result of contributions made by various reflexes, some of which originate in the vestibule,o Vestibular reflexes are -i) Tonic labyrinthine reflexii) Righting reflex (labyrinthine righting reflex)iii) Visual reflex (vestibulo-ocular reflex)